Handedness develops at -
1. 12 months
2. 18 months
3. 24 months
4. 36 months

Correct answer: 4. 36 months

Explanation: Ans. is 'd' i.e., 36 months o Handedness is usually established by the 3rd year.